The supportive proteins among the following are
1. Desmin
2. Dystropin
3. Titin
4. All

Correct answer: 4. All

Explanation: The supportive proteins ina muscle are Desmin,dystophin,titin Ref:Guyton and Hall textbook of medical physiology 12th edition ,pag number 86,87